Rectified spirit cannot be used as a preservative in all except
1. Kerosene
2. Plant alkaloids
3. Alcohol
4. Phosphorus

Correct answer: 2. Plant alkaloids

Explanation: Rectified spirit cannot be used as a preservative in the following poisoning cases: kerosene Alcohol Phenol Phosphorus Paraldehyde Acetic acid Ref: FORENSIC MEDICINE AND TOXICOLOGY Dr PC IGNATIUS THIRD EDITION PAGE 404